Which is not lined by stratified nonkeratinised squamous epithelium?
1. Hypopharynx and laryngopharynx
2. Oesophagus
3. Cornea
4. Tympanic membrane

Correct answer: 4. Tympanic membrane

Explanation: INDERBIR SINGH'S TEXTBOOK OF HUMAN HISTOLOGY-PAGE NO:413 The tympanic membrane Structure:the tympanic membrane consists of the following three layers Outer epithelial layer:it is continuous with the eac skin Middle fibrous layer Inner mucosal layer